A 23 year old profession footballer sufferd a twisting injury to his right ankle. On examination there is a lot of swelling around the medial malleolus but X-ray doesn't show any fracture. The structure injured could be-
1. Deltoid ligament
2. Anterior talofibular ligament
3. Spring ligament
4. Tendo Achilles

Correct answer: 1. Deltoid ligament

Explanation: * Swelling around medial malleolus suggests injury to deltoid ligament. Ref: Zhang C, Lin GM, Liu M. Progress of diagnosis and treatment in deltoid ligament injuries of ankle. Zhongguo Gu Shang. 2013;25 (11) : 967-70